Which of the following acrries the least risk of Colonic malignancy ?
1. Familial adenomatous polyposis
2. Gardner's syndrome
3. Villous adenoma
4. Peutz-Jeghers syndrome

Correct answer: 4. Peutz-Jeghers syndrome

Explanation: .PEUTZ-JEGHER'S POLYP * It is common in small intestine (jejunum) but can also occur in large intestine. * Features are multiple, familial, hamartomatous intestinal polyps. * Asssociated with melaenosis of the oral mucosa, lips (lower lip) and occasionally digits (not in tongue). * Microscopically it contains tree like branching filaments of mucosa with smooth muscle wall. * It can occasionally turn into malignancy. ref:SRB'S manual of surgery,ed 3,pg no 831